The stellate wound may be seen in which of the following bullet entry wounds-
1. Contact shot
2. Close shot
3. Distance shot
4. Two feet distance

Correct answer: 1. Contact shot

Explanation: Contact head entrance wounds result in stellate (star-shaped), cruciform, triradiate, undermined ragged wounds with everted margin, from which lacerations radiate outwards.
Close shot results in blackening, burning & Tattooing. The wound is usually circular & inverted. In close shot, if gases build up inside, they may burst the skin and cause the entry wound to be irregular.